All are true about expert witness except
1. Skilled person in particular field
2. Drawing inferences from observation
3. Can claim conduct money
4. Responsibility is less

Correct answer: 4. Responsibility is less

Explanation: Expert witness Skilled in a particular field or science or art or law Volunteering of statement allowed Drawing inferences from observation allowed Expressing opinions from observations of others allowed Responsibly more Conduct money can claim Punishment for giving false evidence is more Example: doctor, Fingerprint experts, handwriting expert, ballistic expert, chemical examiner, etc Ref: FORENSIC MEDICINE AND TOXICOLOGY Dr PC IGNATIUS THIRD EDITION PAGE 14